Pain of ovarian pathology is referred to
1. Back of thigh
2. Anterior thigh
3. Medial thigh
4. Gluteal region

Correct answer: 3. Medial thigh

Explanation: Pain of ovarian pathology is referred to the periumbilical (T10-T11) area (due to sensory fibres accompanying sympathetic nerves to aortic plexus) along the cutaneous distribution of obturator nerve on inner aspect of thigh (because obturator neurovascular bundle lie lateral to ovary in ovarian fossa).